Nitroglycerine causes all except -
1. Hypotension and bradycardia
2. Methemoglobinemia
3. Hypotension and tachycardia
4. Vasodilatation

Correct answer: 1. Hypotension and bradycardia

Explanation: Ans. is 'a' i.e., Hypotension and bradycardia Nitrates effect on BP & HRo Nitrates cause vasodilatation that results in: Hypotension Reflex tachycardia (not bradycardia) o Due to hypotension (caused by vasodilatation) there is reflex sympathetic stimulation --> stimulation of b1 receptor on heart --> tachycardia.